Co-factor for phosphofructokinase is -
1. Mg+2
2. Mn+2
3. Fe+2
4. Zn

Correct answer: 1. Mg+2

Explanation: Ans. is 'a' i.e., Mg+2 MetalMetalloenzymesCa+2Lipase, LecithinaseCopper (Cu+2/Cu+)Cytochrome oxidaseQ, Tyrosinase. Lysyl oxidaseQ, Superoxide dismutase.Ascorbic acid oxidase, Ferroxidase (ceruloplasmin).Iron (Fe+2/Fe+3)Cytochrome oxidase. Xanthine oxidase, Catalase, PeroxidaseZinc (Zn+2)Carbonic anhvdrase, alkaline phosphataseQ, RNA polymerase, alcohol dehydrogenaseQ, Carboxypeptidase, Prophobilinogen synthase, glutamate dehydrogenase, lactate dehydrogenaseQ. Superoxide dismutaseQ.Magnesium (Mg+2)Hexokinase. phosphofructokinase, giueose-6-phoshphatase, enolase, creatinine kinase,PhosphatasesQ, KinaseQ.Maganese (Mn+2)Arginase, Pyruvate carboxylase, phosphoglucomutase, Glycosyl transferase,Hexokinase, Enolase.Potasium (K+2)Pyruvate kinaseSeleniumGlutathione peroxidaseQNickle (Ni+2)UreaseMolybdenumXanthine oxidaseNote : - Some metalloenzymes contain more than one metal e.g., cytochrome oxidase contains both iron and copper.